Calcium channel blockers in anesthesia, True is :
1. Needs to be decreased as they augment hypotension & muscle relaxation
2. Withheld because they lower LES pressure
3. Should be given in normal doses as they prevent MI & angina
4. All of the above

Correct answer: 3. Should be given in normal doses as they prevent MI & angina

Explanation: C i.e. Should be given in normal dose as they prevent MI & Angina Calcium channel blockers potentiate neuromuscular-block, cause lowering of muscle tone of lower esophageal sphincter but there is no such indication of stoppage of this drug during anesthesia. CCB's prevent MI & angina during anesthesia & should be given in normal doses (preoperatively)Q.